MC cause of death in adult with PDA is-
1. CCF
2. Infective endocarditis
3. Rupture
4. Embolism

Correct answer: 1. CCF